If half of the crown along with root is separated or one
half is removed is called as:
1. Radisection
2. Hemisection
3. Apexification
4. Coronosection

Correct answer: 2. Hemisection